Intrinsic causes of hemolytic anemia are all except:
1. G6PD deficiency
2. Hereditary spherocytosis
3. Hypersplenism
4. Pyruvate kinase deficiency

Correct answer: 3. Hypersplenism

Explanation: - Hypersplenism is extracorpuscular cause of hemolytic anemia. - Causes of hemolytic anemias: INTRACORPUSCULAR CAUSES EXTRACORPUSCULAR CAUSES - Inherited causes: Hereditary spherocytosis G6PD deficiency; Pyruvate kinase deficiency Thalassemia Sickle cell anemia - Acquired causes: Paroxysmal Nocturnal Hemoglobinuria - Immune mechanism: ABO incompatibility Rh incompatability Autoimmune hemolytic anemia - Non immune mechanism: Clostridium toxin Snake venom Sequestration Mechanical damage - Angiopathic hemolytic anemia, march hemoglobinuria